Which of the following catheter materials is most suited for long term is used
1. Latex
2. Silicone
3. Rubber
4. Pol yurathane

Correct answer: 2. Silicone

Explanation: Ans. is 'b' i.e., Silicone "Catheters made of silicone are, in general better tolerated over the long-term than those made of materials like latex and polyurathane." - Cambell, 8/e Also remember Catheter size is usually measured in French (fr) it refers to the outside circumference of the catheter, not the luminal diameter. (Thus a 20 fr catheter may have different luminal size for urinary drainage, depending on the type of material used for construction and the number of lumens within the catheter). 1 Fr = 0.33 nun in diameter thus 3 Fr = 1 mm in diameter (thus a 21 Fr catheter would be 7 mm in diameter)